The complex process of leukocyte movements through the blood vessels are all EXCEPT
1. Rolling
2. Adhesion
3. Migration
4. Phagocytosis

Correct answer: 4. Phagocytosis

Explanation: (Phagocytosis) (35- 36- Robbins - basic 8th)* The complex process of leucocyte migration through blood vessels. The leucocytes first roll then become activated an adhere to endothelium, then transmigrate across the endothelium, pierce the basement membrane and migrate towards chemoattractants emanating from the source of injuryChemotaxis - after extravasating from the blood leukocytes migrate towards sites of infection or injury along a chemical gradient by a process called chemotaxisPhagocytosis - consist of three distinct steps1. Recognition and attachment of the particle to the ingesting leukocyte2. Engulfment with subsequent formation of a phagocytic vacoule3. Killing and degradation of the ingested material